Drug not causing hyperuricemia :
1. Probenecid
2. Thiazide
3. Pyrazinamide
4. Ethambutol

Correct answer: 1. Probenecid